The appearance of cowdry type A inclusion bodies -
1. Granular
2. Circumscribed
3. In polio
4. None

Correct answer: 1. Granular

Explanation: Intranuclear inclusion bodies were classified into two types by cowdry :


Cowdry type A:- These are of variable size and granular in appearance, e.g. in herpesvirus and yellow fever virus.
Cowdry type B:- These are more circumscribed and often multiple, as with adenovirus and poliovirus.